All of the following are true about Triptans except:
1. They are the DOC in Acute attack of migraine
2. Frovatriptan is the longest acting triptan
3. Sumatriptan can also be given subcutaneously
4. They acting by inhibiting 5HT 1B / 1D receptors

Correct answer: 4. They acting by inhibiting 5HT 1B / 1D receptors

Explanation: Triptans are 5HT 1B / 1D agonists, not antagonists.